Rise in end tidal CO2 during thyroid surgery can be due to all except:
1. Anaphylaxis
2. Malignant hyperthermia
3. Thyroid storm
4. Neuroleptic malignant syndrome

Correct answer: 1. Anaphylaxis

Explanation: A i.e. Anaphylaxis Thyroid storm, malignant hyperthermia, neuroleptic malignant syndrome and pheochromocytoma are hypermetabolic states with a massive increase in CO2 production, characterized by hyperpyrexia, tachycardia striking alteration in consciousness and rise in ET CO2 (end tidal CO2 on capnometery)Q. Anaphylaxis l/t hypotension and shock results in hypoperfusion of lungs and deceased ET CO2Q.